Early postoperative complications of tracheostomy are all, except
1. Apnoea
2. Haemorrhage
3. Pneumomediastinum
4. Tracheal stenosis

Correct answer: 4. Tracheal stenosis